For diagnosis of diabetes mellitus, fasting blood glucose level should be more than:
1. 126 mg/dl
2. 140 mg/dl
3. 100 mg/dl
4. 200 mg/dl

Correct answer: 1. 126 mg/dl

Explanation: Answer is A (126mg/dl): For diagnosis of diabetes mellitus, fasting blood glucose level should be more than or equal to 126 mg/dl or 7mmol/l